Which can be used as a antidote and is a toxin-
1. Copper sulphate
2. Arsenic oxide
3. Thallium
4. Mercuric chloride

Correct answer: 1. Copper sulphate

Explanation: (A) (Copper sulphate) (9.24 Parkle 6th)* Copper sulphate is used as an antidote in phosphorus poisoning (It coats the particles of phosphorus with a film of copper sulphide which is harmless).* Copper sulphate (blue vitriol) occurs in large blue crystals causes metallic taste, increased salivation, vomitus matter is blue or green, urine is inky in appearance oliguria.* Hematuria, albuminuria, in severe cases haemolysis, haemoglobinuria, methaemoglobinaemia, Jaundice, pancreatitis and cramps of legs or spasms and convulsions. Later deaths occurs due to hepatic or renal failure or both.* Fatal dose 30 gms of copper sulphate.* Treatment - Stomach should be washed with 1% solution of potassium ferrocyanide, penicillamine. BAL or EDTA are helpful and may be given in the usual dosage.* Angel dust is Phencyclidine.* Borax is Gastrointestinal irritants.* Knockout drops are chloral hydrate.* Antidote for strychnine poisoning is Barbiturates.* Corneal tattooing is done by - Gold chloride.DrugAntidoteAcetaminophenN-Acetylcysteine or MucomystAnticholinesteraseAtropine or PralidoximeAnticholinergics, diphenthydramine, dimethydrinatePhysotigmineEthylene glycolFomepizole, EthanolBenzodiazepines, Zaleplon, ZolpidemFlumazenil (Romazicon)Beta-Blocking agents, Calcium channelGlucagon, EpinephrineCalcium Channel BlockersCalcium Chloride, GlucagonCoumadinPhytonadione or Vitamin KCyanideAmyl nitrite sodium nitrite, sodium thiosulfateCyclophosphamideMesnaDigoxinDigibind or Digoxin Immune FabHeroinNaloxone (Narcan) or NalmefeneIronDesferoxamineHeparinProtamine SulfateLeadEDTA, dimercaprol, succimerMethotrexateLeucovorin calciumPotassiumInsulin + Glucose, KayexalateValproic acidL-CamitineIsoniazidPyridoxine HC1 (Vitamin B6)Aresenic, Copper, Lead, MercuryD-Penicillamine (Cuprimine)